Which of the following vector is known as porter of infection?
1. Sand flea
2. House fly
3. Mite
4. Mosquito

Correct answer: 2. House fly

Explanation: Houseflies are efficient as mechanical spreader of disease. They transport microorganisms on their feet and hairy legs and are known as porters of infection. Chapter: Environment and health Ref: Park 21st edition page: 715.